True about Pendred Syndrome
1. Blindness
2. Conductive deafness
3. Sensorineural deafness
4. All of the above

Correct answer: 3. Sensorineural deafness

Explanation: Autosomal Recessive disorder characterised by nontoxic goitre evident before puberty and associated SNHL Ref: Textbook of ENT, Dhingra; 6th edition; Pg no: 116